Marble Bone disease is ?
1. Osteoporosis
2. Osteopoikilosis
3. Osteopetrosis
4. Fibrous Dysplasia

Correct answer: 3. Osteopetrosis

Explanation: *Marble Bone disease is another name of Osteopetrosis/Albers-Schonberg Disease